A newly posted junior doctor had difficulty in finding out base deficit/excess for blood in a given patient. An experienced senior resident gave him advice to find' out quick method to determine acid-base composition of blood based on pCO2. Which of the following method did the suggest ?
1. Redford nomogram
2. DuBio's nomogram
3. Goldman Constant
4. Siggaard-Anderson nomogram

Correct answer: 4. Siggaard-Anderson nomogram